Most common cause of LMN facial palsy is -
1. Disseminated sclerosis
2. Bell's palsy
3. DM
4. Leprosy

Correct answer: 2. Bell's palsy